Half-life of alteplase ?
1. 3 min
2. 6 min
3. 9 min
4. 12 min

Correct answer: 2. 6 min

Explanation: Ans. is 4b' i.e., 6 minutes o Alteplase has a plasma half-life of 4-6 minutes.